Choking is associated with which of the following firearm
1. Revolver
2. Pistol
3. Shotgun
4. Rifle

Correct answer: 3. Shotgun

Explanation: Ans. c. Shotgun